All of the following are TRUE about pugilistic attitude, EXCEPT:
1. Due to coagulation of muscle proteins
2. Occurs whether the person was alive or dead at the time of burning
3. Body assumes a posture of generalized flexion
4. Seen in drowning

Correct answer: 4. Seen in drowning

Explanation: Pugilistic attitude (boxing, fencing or defence attitude) is the posture of a body which has been exposed to great heat. The legs are flexed at the hips and knees, the arms are flexed at elbows and wrists and held out in front of the body, head slightly extended, all fingers are hooked like claws. This stiffening is due to coagulation of muscle proteins. It occurs whether the person was alive or dead at the time of burning. Ref: The Essentials of Forensic Medicine and Toxicology by K S Narayan Reddy, 27th edition, Page 286.